Rohr's stria found in the placenta are due to:
1. Deposition of fibrin
2. Blood vessels
3. Langhan's cells accumulation
4. Hofbauer cells accumulation

Correct answer: 1. Deposition of fibrin

Explanation: Deposition of fibrin There may be inconsistent deposition of fibrin called Rohr's stria at the bottom of the intervillous space and surrounding the fastening villa.